Which of the following are pathological hallmark of Alzheimer's disease
1. Intercellular Lewy Bodies
2. Intracellular Pick's Bodies
3. Extracellular Beta Amyloid Plaques
4. Extracellular Neurofibrillary Tangles

Correct answer: 3. Extracellular Beta Amyloid Plaques

Explanation: The two hallmark pathologies required for a diagnosis of Alzheimer's disease(AD) are the extracellular plaque deposits of the Beta-amyloid peptide (Ab) and the intracellular flame-shaped neurofibrillary tangles of the Hyper-Phophorylated microtubule binding protein 'tau'. Histological Hallmarks of Alzheimer's disease: b-Amyloid Plaque (Extracellular) Neurofibrillary Tangles (Intracellular) b-Amyloid Neuritic plaques are formed by extracellular accumulation of beta amyloid deposits. 'Neuritic' or 'Senile' b-amyloid plaques are an early histopathological sign of Alzheimer's disease (that occur rarely in healthy subjects) The amyloid b-protein accumulated in single Neuritic plaques is toxic to surrounding structures and adjacent neurons. Clinico-pathological studies have shown that amyloid burden does not directly correlate with severity or duration of dementia. Neurofibrillary tangles are formed by intracellular accumulation of hyper-phophorylated microtubule binding protein 'tau' NFT's occur in many neurodegenerative diseases and/or a group of diseases called 'taupathies'. These include Frontotemporal dementia, Pick's disease etc., The co-occurence of b-amyloid plaques with NFT's suggests a diagnosis of Alzheimer's disease (AD) The NFT's are toxic to the neurons and neurons with NFT's eventually die and degnerate leaving a residual 'ghost tangle' in the extramedullary space reminding of the pyramidal cell body in which it was initially formed. Clinico-pathological studies have shown that dementia correlates more strongly with NFT's than with senile plaques (b-Amyloid) Ref: Bailey and Love 27th edition